Disulfiram shouldn't be given for at least how many hrs. after the patient is abstained from alcohol
1. 12 hrs
2. 14 hrs
3. 48 hrs
4. 96 hrs

Correct answer: 1. 12 hrs

Explanation: Before initiating the treatment with disulfiram for alcohol dependence, patient should be abstained from alcohol at least for 12hrs. Ref: Essentials of postgraduate psychiatry By JN Vyas 1st ed Pg 329